Post mortem stiffening is called:
1. Putrefaction
2. Rigor mortis
3. Livor mortis
4. Mummification

Correct answer: 2. Rigor mortis

Explanation: Ans. B: Rigor mortis Putrefaction: It is the final stage following death in which destruction of the soft tissues of the body is mainly caused by the action of bacterial enzymes. Rigor mortis/death stiffening/cadaveric rigidity: is a state of muscle stiffening sometimes with slight shortening of the fibres. Post-moem hypostasis/ subcutaneous hypostasis/postmortem staining/livor moryis/ cadaveric. lividity/suggilations: This is the bluish purple discoloration (due to deoxyhemoglobin) which appears under the skin in most superficial layers of the dermis (rete mucosum) of the dependent parts of the body after the death due to capillovenous distension. Mummification: It is a modification of putrefaction. Dehydration or drying and shriveling of the cadavers occurs from the evaporation of the water.